Most important step in management of diabetic ketoacidosis is administration of:
1. Insulin
2. Intravenous fluids (saline)
3. Soda-bicarbonate
4. Potassium

Correct answer: 2. Intravenous fluids (saline)